Felon is:
1. Mid palmar space infection
2. Infection of ulnar bursa
3. Terminal pulp space infection
4. Infection of nail bed

Correct answer: 3. Terminal pulp space infection

Explanation: Ans. C: Terminal Pulp Space Infection